A renal biopsy from a 56 year old woman with progressive renal failure for the past 3 years, shows glomerular and vascular deposition of pink amorphous material. It shows apple-green birefringence under polarized light after Congo red staining. These deposits are positive for lambda light chains. The person is most likely to suffer from
1. Rheumatoid arthritis
2. Tuberculosis
3. Systemic lupus erythematosus
4. Multiple myeloma

Correct answer: 4. Multiple myeloma